Long term use of aspirin in rheumatoid arthritis is limited by its propensity to cause:
1. Metabolic acidosis
2. Hypersensitivity reactions
3. Gastric mucosal damage
4. Salicylism

Correct answer: 3. Gastric mucosal damage

Explanation: All non-selective COX inhibitors including aspirin on long-term used can cause gastric toxicity ranging from gastritis to peptic ulcer. Selective COX-2 inhibitors have lesser propensity to cause this adverse effect. Salicylism and metabolic acidosis are seen in overdose, not with long term use.